Deficiency of which vitamin leads to Wernicke's encephalopathy?
1. Riboflavin
2. Pyridoxine
3. Thiamine
4. Biotin

Correct answer: 3. Thiamine

Explanation: Ans. is 'c' i.e., Thiamine* Deficiency of thiamine causes:i) Beriberiii) Wernicke's encephalopathy, with korsakoffpsychosisiii) Lactic acidosis